Most common histological variety of Uterine carcinoma is?
1. Squmous cell carcinoma
2. Columnar cell carcinoma
3. Adeno carcinoma
4. Mixed carcinoma

Correct answer: 3. Adeno carcinoma

Explanation: ANSWER: (C) AdenocarcinomaREF: Novaks gynaecology 14th ed.pg no 1350Uterine sarcomas are, in general, the most malignant group of uterine tumorsAbout 90% of women with endometrial carcinoma have vaginal bleeding or discharge as their only presenting symptom.The risk for endometrial cancer is 4 to 8 times greater in postmenopausal women receiving unopposed estrogen therapy, and the risk increases with time and higher estrogen doses.The endometrioid type of adenocarcinoma accounts for about 80% of endometrial carcinomas.